100/0/0 maturation index indicates
1. Atrophic smear
2. Pregnancy
3. Reproductive age female
4. None

Correct answer: 1. Atrophic smear

Explanation: Maturation index/Cornification index/Karyopyknotic index*Three basic patterns of vaginal maturation can be distinguished (immature, intermediate and mature) based on the predominance of cell types.*Sample: Taken from mid to upper 1/3 of lateral wall of vagina, the epithelium most sensitive to hormonal changes. *200 cells were counted. After counting, a numeric maturation value,which is a rough estimate of esstrogenicity is estimated by assigning values to each cell types (Parabasal=0; Intermediate=0.5; Superficial = 1)*The results will be expressed as low estrogenicity (0-49), moderate estrogenicity (50-64) and high estrogenicity (65-100).*Parabasal cells predominate in atrophic smear, superficial cells in estrogenic smear and intermediate cells in progestational smear. *In our case, there is 100% (200 cells) parabasal cells which indicates low estrogenicity (i.e Atrophy)Pattern Immature (Atrophy)Intermediate MaturePredominant cell type Parabasal (P)Intermediate (I)Superficial (S)Maturation index100/0/0(P/I/S)0/100/0(P/I/S)0/0/100(P/I/S) (Ref: Padubidri's gynecology)